Cellular cementum is derived from:
1. Dental sac.
2. Dental lamina.
3. HERS.
4. Enamel Lamellae.

Correct answer: 1. Dental sac.